Prostaglandin inhibiting action of aspirin is useful in the treatment of all of the following conditions,  EXCEPT :
1. Analgesia and antipyresis
2. Closure of ductus arteriosus
3. Uricosuria
4. Antiinflammatory and anti platelet aggregation

Correct answer: 3. Uricosuria